Normal sperm concentration in semen analysis should be
1. >= 5 millilon/ml
2. >= 15 millilon/ml
3. >= 20 millilon/ml
4. >= 25 millilon/ml

Correct answer: 2. >= 15 millilon/ml

Explanation: Normal Semen Analysis: World Health Organization Volume>=1.5 mLSperm concentration>=15 million/mL Sperm motility>=32% progressive>25% rapidly progressiveMorphology (strict criteria)>=4% normal formWhite blood cells<1 million/mLReference: Novak's Gynecology; 14th edition; Chapter 32; Infertility and Assisted Reproductive Technology